Not true regarding herpes keratitis:
1. Diminished corneal sensation
2. Can be recurrent
3. Sattelite lesions are seen
4. Punctate keratitis is seen

Correct answer: 3. Sattelite lesions are seen

Explanation: Satellite lesions are seen in fungal corneal ulcer and not in herpes keratitis. Herpes Keratitis Both HSV 1 and 2 can cause it Ocular lesions like punctate keratitis is seen Diminished corneal sensation Recurrent Herpes simplex keratouveitis- most common cause of U/L keratouveitis. Dendritic Ulcer stains with fluorescein & have bulb like ends. The virus laden cells at margin of ulcer take up rose Bengal dye Geographical Large confluent ulcer